All are TRUE about diuretic associated hypokalemia, EXCEPT:
1. Loop diuretic cause more hypokalemia than thiazide diuretics
2. Increase in distal tubular Na+ delivery and distal tubular flow rate results hypokalemia
3. Secondary hyperaldosteronism also plays a role
4. Thiazides causes hypocalcuria

Correct answer: 1. Loop diuretic cause more hypokalemia than thiazide diuretics

Explanation: Diuretic use is an important cause of hypokalemia. Thiazides cause more profound hypokalemia than loop diuretics. MUST KNOW: Mechanisms of hypokalemia in diuretic use: Increases distal tubular Na+ delivery and distal tubular flow rate in addition to secondary hyperaldosteronism. Thiazides have an effect on plasma K+ concentration greater than that of loop diuretics. It is due to thiazide-associated hypocalciuria versus the hypercalciuria seen with loop diuretics. It reduces the lumen-negative potential difference and attenuating distal K+ excretion. ALSO NOTE: High doses of penicillin-related antibiotics (nafcillin, dicloxacillin, ticarcillin, oxacillin, and carbenicillin) can increase K+ excretion. Aminoglycosides, amphotericin, foscarnet, cisplatin, and ifosfamide cause renal K+ and magnesium wasting, leading to hypokalemia and hypomagnesemia Ref: Harrison, Edition-18, page- 352.